After removal of the parotid gland, patient is having sweating on the cheeks while eating. The nerve involved in this phenomenon
1. Lingual nerve
2. Auriculotemporal nerve
3. Lesser petrosal nerve
4. Buccal nerve

Correct answer: 2. Auriculotemporal nerve

Explanation: Frey's syndrome (gustatory sweating) results from damage to the autonomic innervation of the salivary gland with inappropriate regeneration of the postganglionic parasympathetic nerve fibres of the auriculotemporal nerve that aberrantly stimulate the sweat glands of the overlying skin. The clinical features include sweating and erythema (flushing) over the region of surgical excision of the parotid gland as a consequence of autonomic stimulation of salivation by the smell or taste of food.Demonstrated by a starch-iodine test.Ref: Bailey and love, page no: 795